The following are related to granulosa cells except:
1. It has got no blood supply
2. In the first half of the cycle, it has no steroidogenic function
3. Granulosa cells produce activin and inhibin
4. Estrogen stimulates the proliferation of granulosa cells

Correct answer: 2. In the first half of the cycle, it has no steroidogenic function

Explanation: As discussed in the text; primordial follicle has granulosa cells and theca cells.
In the Dominant follicle, there is marked enlargement of granulosa cells with lipid inclusion under the influence of FSH and estrogen. (i.e. option d is correct)
Granulosa cells produce estrogen and inhibin B in the first half of the menstrual cycle. (So option b is incorrect). The granulosa cells do not have a blood supply. The granulosa cells layer become vascularised only after ovulation with the formation of corpus luteum.